Mitral valve vegetations do not embolism usually to -
1. Brain
2. Liver
3. Spleen
4. Lungs

Correct answer: 4. Lungs

Explanation: Emboli originating from the left side of the heart go to systemic circulation in the organ such as
Spleen
Kidney
Brain
Liver
Emboli originating from right side of the heart will enter pulmonary circulation and produce lung abscesses or pneumonia.